Posterior border of ovary is ?
1. Attached to suspensory ligament
2. Attached to broad ligament
3. Attached to infundibulopelvic ligament
4. Free of ligament attachment

Correct answer: 4. Free of ligament attachment

Explanation: Ans. is 'd' i.e., Free of ligament attachment OVARY The ovaries are female gonads. Each ovary lies in the ovarian fossa on the lateral pelvic wall which is bound anteriorly by obliterated umblical artery and posteriorly by ureter and internal iliac artery. Each ovary has two poles (upper and lower), two borders (anterior and posterior) and two surfaces (medial and lateral). Upper pole (tubal end) is related to ovarian fimbria of fallopian tube and external iliac artery. Suspensory ligament of ovary (infundibulopelvic ligament) connents it with pelvic brim. Lower pole (uterine end) is connected with lateral angle of uterus by ligament of the ovary, just posteroinferior to the attachment of fallopian tube. Lateral surface is related to ovarian fossa and is covered with peritoneum which separates it from Obturator vessels and nerve. Medial surface is related to fallopian tube and is separated by a peritoneal recess, called ovarian bursa. Anterior border (mesovarian border) is straight and related to fallopian tube and obliterated umblical artery. It is attached to posterior surface of broad ligament of uterus by mesovarium and forms the hilus of ovary. Posterior border (free border) is convex and is related to fallopian tube and ureter.